A 30-year-old highly health conscious woman has been ingesting vitamins and health foods. She is complaining of hair loss, double vision and headache. Her liver function tests are abnormal. She may be suffering from
1. Dry bed ben
2. Hypervitaminosis A
3. vitamin E deficiency
4. Hypervitaminosis D

Correct answer: 2. Hypervitaminosis A